Enzyme that is responsible for unwinding of DNA is?
1. Ligase
2. DNA primase
3. Helicase
4. DNA polymerase

Correct answer: 3. Helicase

Explanation: ANSWER: (C) HelicaseREF: Lippincott's biochemistry 3rd Ed page: 400PROTEINS INVOLVED IN REPLICATION:PROTEINFUNCTIONHelicaseCauses unwinding of DNA using ATPSSB (Single strand binding protein)Keeps two strands separate , prevents renneiling of twostrandsTopisomerase I and IIThey have both nuclease (strand cutting ) and ligase activity , hence they relieve torsional strain that results from helicase induced unwindingDNA primaseInitiates synthesis of RNA primerDNA polymeraseDeoxyribonucleotide polymerisationDNA ligase /nick sealing enzymeSeals the single stranded nick between nascent chains and okazaki fragments